Constipation is caused by all of the following drugs EXCEPT:
1. Neostigmine
2. Atropine
3. Morphine
4. Fentanyl

Correct answer: 1. Neostigmine

Explanation: Drugs causing constipation: Aluminum-containing antacids Antispasmodics e.g. dicycloverine, mebeverine, peppermint oil Colestyramine Diuretics e.g. furosemide Antihypertensive drugs e.g. clonidine, methyldopa, propranolol, verapamil Sedating antihistamines e.g. chlorphenamine, promethazine Opioid analgesics e.g. codeine, dihydrocodeine, morphine, tramadol, fentanyl Tricyclic antidepressants e.g. amitriptyline, dosulepin, imipramine Monoamine-oxidase inhibitors (MAOIs) e.g. moclobemide, phenelzine Antipsychotics e.g. amisulpride, chlorpromazine, clozapine Antiparkinson drugs e.g. entacapone, pramipexole, procyclidine, selegiline Antiepileptic drugs e.g. carbamazepine, oxcarbazepine, phenytoin, pregabalin, Alpha blockers e.g. prazosin, tamsulosin Iron preparations Calcium supplements Bisphosphonates e.g. alendronic acid, risedronate anticholinergics like atropine ESSENTIALS of medical PHARMACOLOGY SEVENTH EDITION: KD TRIPATHI Page:107,108